Kartageners syndrome cause of infertility is?
1. Oligospermia
2. Asthenospermia
3. Undescended testis
4. Epididymis obstruction

Correct answer: 2. Asthenospermia

Explanation: Ans. (b) AsthenospermiaAsthenozoospermia (or asthenospermia) is the medical term for reduced sperm motility due to defect in ciliary movement